Sweat glands are which types of gland ?
1. Simple tubular
2. Simple coiled tubular
3. Compound tubular
4. Compound acinar

Correct answer: 2. Simple coiled tubular

Explanation: Ans. is 'b' i.e., Simple coiled tubular